Broca's area is concerned with:
1. Word formation
2. Comprehension
3. Repetition
4. Reading

Correct answer: 1. Word formation

Explanation: Broca'a area (area 44 & 45; inferior frontal gyrus) is responsible for motor aspect of speech and language, such as word formation. Wernicke's area (area 22; superior temporal lobe) is responsible for comprehension of language. These areas are found in the dominant hemisphere.